The arteries supplying the femoral head include the following except
1. Medial circumflex artery
2. Lateral circumflex artery
3. Profunda femoral artery
4. Ligamentum teres artery

Correct answer: 3. Profunda femoral artery